Pelkan spur is seen in -
1. Rickets
2. Scurvy
3. Hemophilia
4. All

Correct answer: 2. Scurvy

Explanation: Radiological features of scurvy: Palkan spur : metaphyseal spurs projecting at right angles to the shaft. White line of Frankel : calcified cartilage in the metaphysis Trumefeld zone : zone of rarefraction below the white line of Frankel Wimburger sign : ring surrounding the ephiphyseal centres of ossification Pencil thin cortex Subperiosteal hemorrhages Generalised osteoporosis